All of the following statements are true regarding central nervous system infection, except -
1. Measles virus is the causative agent for subacute sclerosing panencephalitis
2. Cytomegalovirus causes bilateral tempora lobe hemorrhagic infarction
3. Prions infection casuses spongiform encephalopathy
4. JC virus is the causative agent for progressive multifocal leucoencephalopathy

Correct answer: 2. Cytomegalovirus causes bilateral tempora lobe hemorrhagic infarction

Explanation: CMV causes congenital infections associated with hepatosplenomegaly,jaundice,thrombocytopenic purpura and hemolytic anemia. REF:ANANTHANARAYAN AND PANIKER'S TEXTBOOK OF MICROBIOLOGY 9TH EDITION PAGE NO:473